In which condition, postpartum hemorrhage will not occur :
1. Preterm labour
2. Cervical laceration
3. Prolonged labour
4. Over distension of uterus

Correct answer: 1. Preterm labour

Explanation: Preterm labour